N-MYC amplification is ssociated with which tumor?
1. Burkitt lymphoma
2. Squamous cell carcinoma lung
3. Astrocytoma
4. Neuroblastoma

Correct answer: 4. Neuroblastoma

Explanation: Reference :Robbins basic pathology 9th edition pg no 189:The most interesting cases of ampli cation involve NMYC in neuroblastoma and ERBB2 in breast cancers. NMYC is ampli ed in 25% to 30% of neu roblastomas, and the ampli cation is associated with poor prognosis